False about autoimmune atrophic gastritis
1. Loss of parietal cell
2. Hyperplasia of G cells
3. Hyperchlorhydria
4. Hypertrophy of enterochromaffin cell

Correct answer: 3. Hyperchlorhydria

Explanation: TypeA gastritis (Autoimmune gastritis): Type A gastritis involves mainly the body-fundic mucosa. It is also called autoimmune gastritis due to the presence of circulating antibodies and is sometimes associated with other autoimmune diseases such as Hashimoto's thyroiditis and Addison's disease. As a result of the antibodies against parietal cells and intrinsic factor, there is depletion of parietal cells and impaired secretion of intrinsic factor. These changes may lead to significant gastric atrophy where intestinal metaplasia may occur, and a small proportion of these patients may develop pernicious anaemia. Due to depletion of gastric acid-producing mucosal area, there is hypo- or achlorhydria and hyperplasia of gastrin-producing G cells in the antrum resulting in hypergastrinemia. TEXTBOOK OF PATHOLOGY HARSH MOHAN 6TH EDITION PAGE NO:547